Panoramic view of the mandible of a patient with history of trauma shows 2 fracture lines at the angle of the mandible. It is most probably due to
1. Oblique fracture
2. Artifact
3. Double fracture
4. None of the above

Correct answer: 1. Oblique fracture

Explanation: An oblique fracture that involves both cortical plates may cause some diagnostic difficulties if the fracture lines in the buccal and lingual plates are not superimposed.  In  this  case,  two  lines  are  seen  that converge at the periphery, suggesting two distinct fractures when in reality only one exists.